All of the following are blood-borne infections except
1. Hepatitis B
2. Hepatitis C
3. Hepatitis G
4. Hepatitis E

Correct answer: 4. Hepatitis E

Explanation: HEPATITIS E:

Enterically transmitted hepatitis non-A, non-B 
HEV is essentially a waterborne disease, transmitted through water or food supplies, contaminated by faeces
Incubation Period: 2 – 9 weeks
HEV in pregnancy: Fulminant form is common in Hepatitis E infection during Pregnancy (up to 20% cases) with a high case fatality rate (up to 80%)